Persistent belief in something which is not a fact is :
1. Illusion
2. Hallucination
3. Delusion
4. Delirium

Correct answer: 3. Delusion

Explanation: C. i.e. Delusion